All are TNF-alpha antagonists used in rheumatoid arthritis except:
1. Ifosfamide
2. Infliximab
3. Etanercept
4. Adalimumab

Correct answer: 1. Ifosfamide

Explanation: SOME IMPORTANTLY USED TNF - ALPHA INHIBITORS ARE AS FOLLOWS:

Etanercept : Chimeric protein and neutralizes both TNF alpha and TNF beta can be used along with methotrexate in rheumatoid arthritis also used in ankylosing spondylosis, juvenile arthritis and plaque psoriasis.
Infliximab : Monoclonal antibody against TNF alpha.used in refractory rheumatoid arthritis, fistulating Crohn's disease, ulcerative colitis and psoriasis.
Adalimumab : Fully human recombinant antibody anti TNF alpha. It is less antigenic.use same as infliximab.